Which is TRUE regarding nerve conduction:
1. All or none phenomenon
2. Conduction independent of amplitude
3. Propagated action potential is generated in dendrites
4. Faster in unmyelinated fibres

Correct answer: 1. All or none phenomenon

Explanation: A i.e. All or none phenomenon All or none law: Action potential will not develop unless the stimulus searches a threshold intensity. Once a threshold in tensity is reached, a full fledged action potential is produced. Further increase in the intensity of stimulus produce no increment or other change in action potential as long as other experimental condition remain constant and is said to obey "all or none law". Action Potential - develops in the initial segment of axonQ and the impulse is transmitted along the axon to its termination. - follow 'all or none' phenomenon - conduction of nerve is an active self propagating process and impulse moves at a constant amplitude & velocity.Q - conduction is faster in myelinated axonsQ.